Cadmium can cause all cancer except -
1. Lung
2. Pancreas
3. Prostate
4. Skin

Correct answer: 4. Skin

Explanation: Skin cancer Percival Pott was first to draw attention to cancer of scrotum in chimney sweeps in 1775. It was subsequently found that cancer of the scrotum and of the skin in other parts of the body was caused by coal tar, X-rays, certain oils and dyes. Statistics now show that nearly 75 per cent of occupational cancers are skin cancer. Skin cancers are an occupational hazard among gas workers, coke oven workers, tar distillers, oil refiners, dye-stuff makers, road makers and in industries associated with the use of mineral oil, pitch, tar and related compounds. Ref: Park 25th edition Pgno : 845